Heat stable enterotoxin causing food poisoning is caused by all the following except -
1. Bacillus cereus
2. Yersinia enterocolitica
3. Staphylococcus
4. Clostridium perfringens

Correct answer: 4. Clostridium perfringens

Explanation: Ans. is 'd' i.e., Clostridium Perfringens Heat labile toxin Heat stable toxins . Clostridium perfringens . Staph aureus . LT of ETEC . Y. enterocolitica (Harrison 15th/e 999) . V. cholerae . ST of ETEC . Diarrheal form of B. cereus . Emetic form of B. cereus (Similar to LT of ETEC) (Similar to staph. enterotoxin)